Which of the following condition of mother is associated with LCHAD deficiency in a foetus?
1. PCOD
2. HELLP syndrome
3. Molar pregnancy
4. Ectopic pregnancy

Correct answer: 2. HELLP syndrome

Explanation: Medium- and short-chain 3-hydroxyacyl-CoA dehydrogenase deficiency or long-chain 3-hydroxyacyl-CoA dehydrogenase (LCHAD) deficiency involves loss of beta-oxidation of medium- and short-chain fatty acids or long-chain fatty acids, respectively. As a result, the body cannot convert these particular fatty acid chains to energy and increased levels build up in particular tissues and organs causing damage. These diseases are present in infancy or later in life. Mothers carrying a fetus with LCHAD deficiency may also have liver disease as well as HELLP syndrome. Ref: The Big Picture: Medical Biochemistry > Chapter 7. Lipid Metabolism > Fatty Acid Metabolism > Fatty Acid Degradation (Table).